Abrupt ,drastic change in influenza is due to -
1. Antigenic shift
2. Antigenic drift
3. Exaltation
4. Virulence

Correct answer: 1. Antigenic shift

Explanation: Abrupt ,drastic change in influenza is due to-Major abrupt drastic discontinuous changes in genome due to gene reassortment known as Antigenic shift. Antigenic shift Major abrupt drastic discontinuous changes in genome due to gene reassortment. 1. Responsible for Pandemic and major epidemic. 2. Occurs every 10-20 years. 1. Most common seen in Type A. 2. Results in a new strain is not related to predecessor strain. Antigenic drift Minor gradual sequential antigenic changes in genome due to point mutation. 1. Responsible for periodic Epidemic and sporadic cases. 2. Occurs every 2-3 years. 1. Seen in Type A, B. 2. Results in a different strain is related to predecessor strain. Virulence depends upon strains after genetic reassortment. Virulence -H5N1 >H1N1.